Prepyloric or channel ulcer in the stomach is termed as the following type:
1. Type 1
2. Type 2
3. Type 3
4. Type 4

Correct answer: 3. Type 3

Explanation: Gastric ulcers have been classified based on their location: Type I occur in the gastric body and tend to be associated with low gastric acid production; Type II occur in the antrum and gastric acid can vary from low to normal; Type III occur within 3 cm of the pylorus and are commonly accompanied by duodenal ulcers and normal or high gastric acid production; Type IV are found in the cardia and are associated with low gastric acid production. Ref: Valle J.D. (2012). Chapter 293. Peptic Ulcer Disease and Related Disorders. In D.L. Longo, A.S. Fauci, D.L. Kasper, S.L. Hauser, J.L. Jameson, J. Loscalzo (Eds), Harrison's Principles of Internal Medicine, 18e.